Post traumatic stress disorder is due to?
1. Head injury
2. CVD
3. Minor stress
4. Major life threatening events

Correct answer: 4. Major life threatening events

Explanation: Ans. is 'd' i.e., Major life treatening events Stressors for stress disorders* Stress disorders occur after an extreme traumatic events involving the threat of personal death or injury. They can arise from experiences in war, torture, natural catastroph (earthquake, volcano, floods), assault, rape, and serious accidents (e.g., in car) in burning building.* Symptoms of PTSD develop within 6 months of stressor, However 10% patients have delayed onset.Risk factors for Stress disorders1) Vulnerability factors: - Low education, Lower social class, female gender, low self esteem/neurotic traits, previous traumatic events (including childhood trauma), previous self or family history of psychiatric problems (mood/ anxiety disorders).2) Protective factors: - High IQ, higher social class, male gender, psychopathic traits, chance to view body of dead relative / friend.3) Biological factors: - Following systems are hyperactive in PTSD : -a) Noradrenergic systemb) Opioid systemc) Hypothalamic-pituitary-adrenal (HDA) axis* Recently, the role of Hippocampus in PTSD has received increased attention. Animal studies have shown that stress is associated with structural changes in the hippocampus, and studies of combat veterans with PTSD have revealed a lower average volume in the hippocampal region of the brain. Structural changes in the amygadala, an area of the brain associated with fear, have also been demonstrated.